Which parasite causes severe malabsorption syndrome
1. Giardiasis
2. Hookworm
3. Ascariasis
4. Amoebiasis

Correct answer: 1. Giardiasis

Explanation: Ref: Harrisons, 19th ed. pg. 1946Giardiasis* Mode of transmission: Fecal-oral* Incubation period: 7-10 days* Signs/symptom:# Chronic diarrhea, abdominal pain, bloating, nausea, flatus due to postinfectious irritable bowel syndrome or protein losing enteropathy; postinfection fatigue* Diagnosis: Fecal, string test, or duodenal aspirate microscopy; stool antigen assay* Treatment: Metronidazole for ongoing infection; no specific antiparasitic therapy for postinfectious syndromes.* NOTE: Hookworm infection can cause iron deficiency anemiaImportant causes of Malabsorption Syndrome (Table from Harrisons 19th ed)Impaired mucosal absorption/mucosal loss or defect# Crohn's disease# Celiac disease# Amyloidosis# Collagenous sprue# Scleroderma# Whipple's disease# Lymphoma# Folate and vitamin B12 deficiency# Eosinophilic enteritis# Mastocytosis# Infections--giardiasis# Tropical sprue